Intubation dose of pancuronium
1. 0.02 mg/Kg
2. 0.04 mg/Kg
3. 0.06 mg/Kg
4. 0.08 mg/Kg

Correct answer: 4. 0.08 mg/Kg

Explanation: D i.e. 0.08 mg/Kg Pancuronium is commonly used MR. d/t lack of S/E like flushing, bronchospasm as it causes less histamine release. It causes hypertension by releasing Noradrenaline and is safe in malignant hyperpyrexia. Dose for intubation is 0.08-0.12 mg/kgQ